In atropine instillation, all are seen except:
1. Dilated pupil
2. Paralysis of accommodation
3. Increased water content to tear
4. Decreased water content to tear

Correct answer: 3. Increased water content to tear

Explanation: Ans. C.)Increased water content to tear. Causes of decreased tear formation: Idiopathic, congenital alacrima, xerophthalmia, lacrimal gland ablation, and sensory denervation. Collagen vascular diseases, including relapsing polychondritis, rheumatoid arthritis, granulomatosis with polyangiitis, and systemic lupus erythematosus. Sjogren's syndrome and other autoimmune diseases are associated with aqueous tear deficiency. Drugs such as isotretinoin, sedatives, diuretics, tricyclic antidepressants, antihypertensives, oral contraceptives, antihistamines, nasal decongestants, beta-blockers, phenothiazines, atropine, and pain relieving opiates such as morphine can cause or worsen this condition. Infiltration of the lacrimal glands by sarcoidosis or tumors, or postradiation fibrosis of the lacrimal glands Mode of action of Atropine (i) gives comfort and rest to the eye by relieving spasm of iris sphincter and ciliary muscle, (ii) prevents the formation of synechiae and may break the already formed synechiae, (iii) reduces exudation by decreasing hyperaemia and vascular permeability and(iv) increases the blood supply to anterior uvea by relieving pressure on the anterior ciliary arteries. As a result more antibodies reach the target tissues and more toxins are absorbed.